Least likely physiological change in pregnancy
1. Increase in intravascular volume
2. Increase in cardiac output
3. Increase in stroke volume
4. Increase in peripheral vascular resistance

Correct answer: 4. Increase in peripheral vascular resistance

Explanation: Normal pregnancy is characterized by increased plasma volume (preload), increased Cardiac Output and decreased PVR. These changes result in a physiologic decrease in mean blood pressure during the second trimester.